Intrahepatic cholestasis is seen in – a)  Galactosemiab)  Hypercalcemiac)  Haemoclu–omatosisd)  Cystic fibrosis
1. ad
2. c
3. ac
4. ab

Correct answer: 1. ad